A 40 years old P4+2 female has been diagnosed to have H mole. The treatment would be:
1. Radiotherapy
2. Chemotherapy
3. Total hysterectomy
4. Radio chemotherapy

Correct answer: 3. Total hysterectomy

Explanation: Ans. is c, i.e. Total hysterectomyRef. Dutta Obs. 7/e, p 195; COGDT 10/e, p 889, William Obs. 23/e, p 261, 24/e, p 401"If no further pregnancies are desired, hysterectomy may be preferred to suction curettage. It is a logical procedure in women aged 40 or older because atleast a third of these women will go on to develop gestational trophoblastic neoplasia." --William Obs 23/e, p 261Remember: Hysterectomy only decreases the chances of malignancy in cases of hydatidiform mole and does not eliminate the necessity of follow-up.